MALT is most commonly present in
1. Duodenum
2. Jejunum
3. Ileum
4. Stomach

Correct answer: 3. Ileum

Explanation: Ans. (c) Ileum(Ref: Wheaters Functional Histology: A Text and Colour Atlas 6th ed Pg 216)MALT is most commonly present in Peyer's patches in lamina propria of ileum & throughout small intestineComponents of MALT are sometimes subdivided into:GALTGut-associated lymphoid tissue; Eg Peyer's patches found in the lining of the small intestinesBALTBronchus-associated lymphoid tissueNALTNasal-associated lymphoid tissueCALTConjunctival-associated lymphoid tissueO-MALTOrganized mucosa-associated lymphatic tissue; Eg tonsils of Waldeyer's tonsillar ringD-MALTDiffuse mucosa-associated lymphatic tissueLALTLarynx-associated lymphoid tissueSALTSkin-associated lymphoid tissue